A road traffic accident patient in the casualty is comatose with unilaterally dilated pupil. The NCCT of the patient shows a Lesion peripherally present with concavo - convex border. What is the probable diagnosis?
1. Sub-dural hematoma
2. Epi-dural hematoma,
3. Sub-arachnoid hemorrhage
4. Intra-parenchymal bleeding

Correct answer: 1. Sub-dural hematoma

Explanation: Ans.(a). Sub-dural hematomaSub dural hematomaConcavo-convex bleed hyper-densityExtra dural hemorrhageBiconvex /flame shaped hyper- densitySub arachnoid hemorrhageIntra-ventricular bleed/blood in slyvian fissureIntra -parenchymal bleedMostly a lesion or hyper-density in basal ganglia secondary to hypertension.